Phospholipid is
1. Leukotrienes
2. Lecithin
3. Cerebroside
4. Ganglioside

Correct answer: 2. Lecithin

Explanation: Ref: DM Vasudevan - Textbook of Biochemistry, 6th edition, page no: 46